True about neurofibromatosis is all the following except-
1. Autosomal recessive
2. Scoliosis
3. Cataract
4. Neurofibromas

Correct answer: 1. Autosomal recessive

Explanation: Robbins and cotran Pathologic basis of disease-south asia edition,9 edition. * Neurofibromatosis are autosomal dominant disorders,familial tumour syndromes characterised by tumours of PNS and CNS.